Which vitamin dificiency causes glossitis and cheilosis -
1. Thiamin
2. Riboflavin
3. Folic acid
4. Vitamin A

Correct answer: 2. Riboflavin

Explanation: Ans. is 'b' i.e., Riboflavin NameActive formSourcesDaily requirementsFunctionsDeficiency manifestationsFAT SOLUBLE V ITAMINSVitamin A (Ratinol)Retinol, Retinal,Retinoic acidFish liver oils milk, milk products. Green leafy vegetables, carrots, yellow and red fruits800-1000Retinol equivalentsRetinal and retinol are involved in vision. Retinoic acid regulates the expression of gene during growth and development AntioxidantNight blindness xerophthalmia formation of Bitot's spots, dry, rough and scally skin. Retardation of growth in children.Vitamin D (Cholecalci- ferol)1, 25-Dihydroxy-cholecatcifenolCod liver oil. sunlight induced synthesis of vitamin D3 in skin egg yolk200-400 IURegulation of the plasmal of calcium and phosphorus, calcification of boneRickets (in children) Osteomalacia (in adults)Vitamin E (a-Tocopherol)a-tocopherolSoya and com oils, germ oil, fish oil, eggs, alfalfa8-10 mgNatural antioxidant and acts as a scavenger of free radicals.Protects the RBCs from hemolysis.Prevents peroxidation of PUFA in cell membraneHemolytic anemia.Retrolental fibroplasia (RLF) in premature infantsVitamin KPhylloquinone (Vitamin K,)Menaquinone (Vitamin K,)Green leafy vegetables, tomatoes, cheese, meat egg yolk70-140 gRequired for activation of blood clotting factors Required for y carboxylation of glutamic acid residue in clotting and oseocalcin proteinsHemorrhagic disorder, increased clotting time NameActive formSourcesDaily-requirementsFunctionsDeficiency manifestationsWATER SOLUBLE VITAMINSThiamine (Vitamin B1)TPPCereals, meat, ruts green vegetables, eggs1.0-1.5 mgCoenzyme for oxidative decarboxylation and transketolase reactionsBeriberi, Wernicke Korsakoff syndromeRiboflavin (Vitamin B2)FMN, FADYeast, germinating seeds, green leafy vegetables, milk, eggs, liver, meat1.3-1.7 mgCoenzyme for oxidation reduction reactionsCheilosis, glossitis, dermatitis vascularization of corneaNiacin (Vitamin B3)NAD+ and NADP+Yeast, legumes. liver, meat15-20 mgCoenzyme for oxidation reduction reactionsPellagraPantothenic acid (Vitamin B5)Coenzyme A, (CoA-SH)Wheat germs, cereals, yeast, liver, eggs5-10 mgAcyl carrierBurning feet syndromePyriodoxin (Vitamin B6)PLPYeast, unrefined cereals, pulses, vegetables, meat, fish, egg yolk1.6-2 mgCoenzyme for transami- nation, decarboxylation, non-oxidative deamination, trans-sulfuration reactionsEpileptic consuls ions dermatitis, hypochronic microcytic anemiaBiotin (Vitamin B7)Biocytin (Enzyme bound biotin)Liver, kidney, egg yolk vegetables150-300 gCoenzyme for carboxylation reactionsRare dermatitisFolic acid (Vitamin B9)THF (Tetrahydrofolic acid)Green leafy vegetables, liver, yeast200 gCarrier of one carbon unit. Synthesis of methionine, purines and pyrimidinessMegaloblastic anemia. Neural tube defectsCynocobalamin (Vitamin B12,)Methylcobalamin.Deoxyadeno-sylcobalaminOnly animal origin, meat, egg, liver, fish3 gCoenzyme for react ins: Homocysteine to Methionine. Methylmalonyl-CoA to Succinyl-CoAPernicious anemiaMegaloblastic anemia Neuropathy (dementia)Methylmalonic aciduriaAscorbic acid (Vitamin C)Ascorbic acidCitrus fruits. AmIa, leafy vegetables, tomatoes60-70 mgAntioxidant, involved in hydroxylation reactins in the synthesis collagen, steroid hormones, adrenaline, etc. facilitates absorption of iron from intestine.Scurvy